A patient is admitted from the emergency department following a large-volume haematemesis. Oesophagogastroduodenoscopy is performed, which identifies a posteriorly positioned duodenal ulcer that is actively bleeding. The vessel responsible is
1. Gastroduodenal artery
2. Abdominal aorta
3. Right gastric artery
4. Left gastric artery

Correct answer: 1. Gastroduodenal artery

Explanation: Detailed knowledge of the arterial supply of the stomach is not required for undergraduate exams, however certain facts should be remembered. All the blood supply to the stomach is derived from the coeliac plexus, which branches from the abdominal aorta at the level of T12. The lesser curve is supplied by the right and left gastric vessels, the greater curve by the right and left gastroepiploic vessels. The right gastroepiploic artery is a branch of the gastroduodenal artery. The gastroduodenal artery passes underneath the first part of the duodenum, closely associated with its posterior wall; it is this vessel which classically causes major haemorrhage in the event of posterior erosion by a duodenal ulcer.